Cryptomenorrhea is seen in
1. Asherman's syndrome
2. Testicular feminizing syndrome
3. Imperforate hymen
4. Uterine agenesis

Correct answer: 3. Imperforate hymen

Explanation: Cryptomenorrhea means monthly subjective symptoms of menstruation without the outflow of blood.In women with cryptomenorrhoea presenting as primary amenorrhoea, the common cause is an intact hymen or vaginal septum. A history of cyclic abdominal colickypain, retention of urine, the presence of a palpable abdominal lump and the visualization of a tense bluish bulging membrane on separation of the labia enables the diagnosis.Ultrasound scan of the pelvis confirms it. A simple cruciate incision of the hymen permits free drainage of the collected menstrual blood and leads to normal reproductive function.Ref: Shaw's Textbook of Gynecology; 16th edition; Page no: 324